Best site for IOL implantation -
1. Iris
2. Capsular bag
3. Anterior chamber
4. Sulcus

Correct answer: 2. Capsular bag

Explanation: In the capsular bag fixation of IOL is the most ideal method. In the ciliary sulcus fixation of IOL is done in the absence of intact capsular bag with adequate capsular support. Scleral fixation of IOL is done in the absence of capsular support. REF IMG : The above image shows a three piece implantation in the bag